Systemic steroids are not used in treatment of?
1. Pemphigus vulgaris
2. Bullous pemphigoid
3. Dermatitis herpetiformis
4. Pemphigus foliaceus

Correct answer: 3. Dermatitis herpetiformis

Explanation: Systemic steroids are not required in DH Dapsone is D.O.C. S/E of Dapsone: Hemolysis and Methemoglobinemia.